All are true about bulimia nervosa except:
1. Amenorrhoea
2. Binge eating
3. Purgation and vomiting
4. Normal body contour

Correct answer: 1. Amenorrhoea

Explanation: Ans: a (Amenorrhoea) Ref: Ahuja, 6th ed, p. Kaplan & Sadock, 8th ed, p. 2012,Amenorrhoea is not a feature of bulimia nervosa; it is seen in anorexia nervosaFluoxetine is an anti-depressant that has been approved for use in bulimia nervosa.Common characteristics of anorexia nervosa and bulimia nervosaClinical characteristicaAnorexia nervosabulimina nervosaOnsetMid-adolescenceLate adolescence/eariy adulthoodFemale: male10:110:1Lifetime prevalence in women1%1-3%WeightMarkedly descreasedUsually normalMenstruationAbsentUsually normalBinge eating25-50%Required for diagnosisMorality5% per decadeLowPhysical and laboratory findingsSkin/extremitiesLanugo Acrocyanosis Oedema CardiovascularBradycardia Hypotension GastrointestinalSalivaly gland enlargementSalivary gland enlargement Show gastric emptyingDental erosion Constipation Elevated liver enzymes HaematopoieticNormochromic, normocycytic anaemia Leukopenia Fluid/ElectrolyteIncreased BUN. creatinineHypokalaemia HypokalaemiaHypochloraemia AlkalosisEndocrineHypoglycaemia Low esterogen or testosterone Low LH and FSH Low-normal thyroxine Normal TSH Increased cortisol BoneOsteopenia